Which of the following diseases is not transmitted by fleas?
1. Plague
2. Endemic typhus
3. Chiggerosis
4. Trench fever

Correct answer: 4. Trench fever

Explanation: Diseases transmitted by fleas include: Plague Endemic typhus Chiggerosis Hymenolepis diminuta. Ref: Park 21st edition page: 719.